Maximum increase in cardiac output occurs by what stage of pregnancy :
1. 10th week
2. 20th week
3. 30th week
4. At the onset of labour

Correct answer: 3. 30th week

Explanation: 30th week